Most cardiotoxic local anaesthetic is :
1. Procaine
2. Bupivacaine
3. Prilocaine
4. Tetracaine

Correct answer: 2. Bupivacaine